The commonest mode of inheritance of congenital heart disease is
1. Autosomal dominant
2. Autosomal recessive
3. Sexlinked dominant
4. Multifactorial

Correct answer: 4. Multifactorial

Explanation: Ref Harrison 19 th ed pg 1516 The most common birth defects are cardiovascular in origin. These malformations are due to complex multifactorial genetic and environ- mental causes. Recognized chromosomal aberrations and mutations of single genes account for <10% of all cardiac malformations. Congenital heart disease (CHD) complicates ~1% of all live births in the general population--about 40,000 births/year--but occurs more frequently in the offspring (about 4-10%, depending on maternal CHD type) of women with CHD. Owing to the remarkable surgical advances over the last 60 years, >90% of afflicted neonates and children now reach adulthood; women with CHD may now frequently successfully bear children after competent repairs.